Cell surface receptors are used by which hormone-
1. Thyroxine
2. Testosterone
3. Glucagon
4. Cortisol

Correct answer: 3. Glucagon

Explanation: Ans. is 'c'i.e., Glucagon Type of receptorso All hormones act through specific receptors present inside the cell (intracellular) or on the surface of cells (membrane receptors).A. Membrane receptorso Present on the cell membrane.o Their drug/hormone binding domain is extracellular and effector domain is intracellular.These are:1. G protein coupled receptors - It may act through.a) Adenylyl cyclase| cAMP - TSH, FSH, LH, ACTH, glucagon, PTH, adrenaline, calcitonin, vasopressin (V2).| cAM P - PRIH (Dopamine)b) IP3-DAG (Ca2+ and protein kinase 'c') -Vasopressin (V1), oxytocin.c) Channel regulation (Ca+2, K+ Na+)2. Receptor with Intrinsic ion channels - (Na+, K+, Ca+2 or C1-)3. Enzyme linked receptorsa) Intrinsic enzyme receptors (tyrosine kinase receptors) - Insulin.b) JAK-STAT kinase binding receptors - Growth hormone, Prolactin.B. Intracellular receptors (transcription factors)o Present inside the cell and induce synthesis of specific protein by increasing the expression of specific gene.1. Cytoplasmic - Glucocorticoids, Mineralocorticoids, Androgens, Progestins.2. Nuclear - Thyroxine, Triiodothyronine, Estrogen, retinoic acid, Vit D.